A woman complains of headache associated with paresthesias of the right upper and lower limb the likely diagnosis is:
1. Trigeminal neuralgia
2. Gossopharyngeal neuralgia
3. Migraine
4. Cluster headache

Correct answer: 3. Migraine

Explanation: Paresthesias is seen in 33% of patients with migraine. Migraine most commonly affects women. Ref: Harrison's Principle of Internal Medicine, 16th Edition, Page 90